Maximum dose of plain lignocaine (in mg) –
1. 300
2. 500
3. 700
4. 1000

Correct answer: 1. 300

Explanation: Maximum safe dose of plain lidocaine → 300 mg (4.5 mg/kg).
Maximum safe dose of lidocaine with epinephrine → 500 mg (7 mg/kg).